Gluconeogenesis does not occur sighnificantly from...... in humans-
1. Lactate
2. Fatty acids
3. Pyruvate
4. Amino acid

Correct answer: 2. Fatty acids

Explanation: B i.e. Fatty acid